The most common nerve involved in volkmann's ischemic contracture or forearm includes:
1. Radial
2. Ulnar
3. Median
4. Posterior interosseous

Correct answer: 3. Median

Explanation: Volkmann's ischemic contracture most commonly involve flexor digitorum profundus muscle and median nerve. Ref: Tachdjian's Pediatric Orthopedics 3/e, Page 2139-77, 2060; Rockwood and Green's Fracture in Children 6/e, Page 543-86; Apley's 8/e, Page 596-99, 563-64; Watson Jones : Fracture and Joint injuries 6/e, Page 591-609.